Prodrug of cetrizine is
1. Foxefenadone
2. Terfenadine
3. Hydroxyzine
4. Azelastine

Correct answer: 3. Hydroxyzine

Explanation: Ans. is 'c' i.e., Hydroxyzine Cetrizine is a metabolite of Hydroxyzine with marked affinity for peripheral HI receptors; penetrates brain poorly. It inhibits release of histamine and of cytotoxic mediators from platelets as well as eosinophil chemotaxis during secondary phase of allergic response. It is indicated in upper respiratory allergies, pollinosis, urticaria and atopic dermatitis; also used as adjuvant in seasonal asthama.